Which one of the following anaesthetic agents does not trigger malignant hyperthermia ?
1. Halothane
2. Isotlurane
3. Suxamethonium
4. Thiopentone

Correct answer: 4. Thiopentone

Explanation: Ans. is 'd' i.e., Thiopentone Drugs causing Malignant hyperthermia Succinylcholine Enflurane Methoxyflurane Phenothiazines Halothane Sevoflurane MAO inhibitors Lignocaine Isoflurane Destlurane TCA o Succinylcholine is the most common cause of MH. o Amongst anaesthetics, halothane is most common cause. o Combination of Sch and Halothane has a much higher incidence.